Sideroblastic anemia is seen in chronic poisoning of
1. Lead
2. Arsenic
3. Copper
4. Mercury

Correct answer: 1. Lead

Explanation: Ans. (a) Lead(Ref: Wintrobe's 12th/pg837)Sideroblastic anemia is seen in:*. Alcoholism*. Lead poisoning*. Drugs (isoniazid, pyrazinamide, chloramphenicol)*. Copper deficiency (zinc ingestion, copper chelation, nutritional, malabsorption)*. Hypothermia